The first step in liver’s metabolism of fructose is ?
1. Isomerization of glucose
2. Phosphorylation to fructose 1, 6 bisphosphate by ATP
3. Phosphorylation to fructose 6 phosphate by ATP
4. Phosphorylation to fructose 1 phosphate by ATP

Correct answer: 4. Phosphorylation to fructose 1 phosphate by ATP

Explanation: Fructose metabolism